Spalding sign is a feature of:
1. Prematurity
2. Postmaturity
3. Foetal death
4. Hydrocephalus

Correct answer: 3. Foetal death

Explanation: Ans: C (Foetal death) Ref: The Essentials of Forensic Medicine and Toxicology by KS Narayan Reddy. 29th edition. 2010.Explanation:In intrauterine maceration, the skull vault bones may partly overlap each other. This is called as Spalding's sign and is also detectable by X-Ray examination before the birth of the dead fetusSpalding sign is a radiological sign showing loss of alignment & overriding of cranial vault as a consequence of IUD & maceration of foetus.It takes 2 days to 2 weeks after death to develop.MacerationIt is a process of aseptic autolysis of a fetus dead in utero.It occurs when the dead fetus remains in the utero for 3 to 4 days surrounded by liquor amnii but with exclusion of air.It does not occur if the dead fetus is bom within 24 hours.It is characterized by softening and degeneration of tissues,The process is aseptic because the fetus being enclosed in the membranes is in a sterile condition.